A head injured patient, who opens eyes to painful stimulus, is confused and localizes to pain. What is his Glassgow coma Score -
1. 7
2. 9
3. 11
4. 13

Correct answer: 3. 11

Explanation: Ans. is 'c' i.e., 11 * Eye opens to pain-2* Confused-4* Localizes pain-5 11Glasgow coma scale:Eye opening (E)Best motor response (M)Verbal response (V)Spontaneous - 4To loud voice - 3To pain - 2Nil- 1Obeys - 6Localize - 5Withdraws (flexion) - 4Abnormal flexion - 3PosturingExtension posturing - 2Nil - 1Oriented - 5Confused disoriented - 4Inappropriate words - 3Incomprehensible sounds - 2Nil - 1Score of our patientPrognosis of the patient in coma score 3-4 - 85% chance of dying or remaining vegetativeAbove - Only 5-10 percent likelihood of death or vegetative state and 85% chance of moderate disability